Commonest form of actinomycosis is -
1. Fascio cervical
2. Thoracic
3. Right iliac fossa
4. Liver

Correct answer: 1. Fascio cervical